All are DNA oncogenic viruses except:
1. HBV
2. EBV
3. HSV
4. HCV

Correct answer: 4. HCV

Explanation: Ans: d (HCV) Ref: Ananthanarayan, 7th ed,p. 557Hepatitis C virus is an RN A virus and not a DN A oncogenic virus.Lymphoid malignancy caused by hepatitis C is lymphoplasmacytic lymphoma.It is associated with:Essential mixed cryoglobulinemiaMPGNMembranous glomerulopathyPorphyria cutanea tardaLichen planusHBV is a DN A oncogenic virus related to hepatocellular carcinoma.EBV is related or associated with:Burkitt's lymphomaLymphoma in immunodeficient person such as AIDS patients and transplant recipients.Nasopharyngeal carcinoma in persons of Chinese originThe only human hepatitis virus which can be cultivated in vitro-Hepatitis A (AIIMS 2007 MAY)HSV type 2 is associated with Ca cervix.Segmented RNA viruses are:Arena viridaeReoviridaeBunya viridaeOthomyxo viridaeNote:All DNA viruses are oncogenic except parvovirusOnly oncogenic RNA virus is HTLV virus.